The most commonly used resuscitation fluid in burns is
1. Normal saline
2. Ringer lactate
3. Hypertonic saline
4. Human albumin solution

Correct answer: 2. Ringer lactate

Explanation: The most common fluid used is Ringer lactate/Hartmann's solution Ringer lactate is a mixture of sodium chloride, sodium lactate, potassium chloride, calcium chloride in water. Crystalloids are said to be as effective as colloids for maintaining the intravascular volume and are given during initial 24 hrs Colloids should ideally be given after the first 12 hrs of burn because before this period, the massive fluid shift cause protein to leak out of cells.